All of the following may be associated with Thymoma, Except:
1. SIADH
2. Myaesthenia Gravis
3. Hypogammaglobulinemia
4. Cushing's syndrome

Correct answer: 1. SIADH

Explanation: Answer is A (SIADH): Syndrome of Inappropriate ADH secretion (SIADH) has not been mentioned in association with Thymomas. Clinical Syndromes Associated with Thymomas Paraneoplastic Immunologic Syndromes associated with both benign and malignant thymomas occur frequently, do not affect prognosis and may not reverse following thymectomy. Charachteristic Syndromes Myaesthenia Gravis (most common)Q Acquired Hypogammaglobulinemia (10%)Q Pure Red Cell AplasiacQ Rare Syndromes / Associated Diseases Ectopic Cushing's Syndrome Autoimmune Thyroiditis / Grave's Disease Connective Tissue Disorders / Vasculitis - Polymyositis / Dermatamyositis - Granulomatous myocarditis - SLE - Rheumatoid Arthritis - Sjogren's syndrome, Scleroderma Churg - Strauss syndrome, Microscopic polyangitis, Isolated Pauci - immune crescenteric glomenulonephritis Optic neuritis / Limbic encephalitis Hypertrophic Osteoarthropathy Pernicious anemia Pemphigus Panhypopituarism Ulcerative colitis Addison's disease